The most likely hormone increased in a middle aged female with a mass in sella turcica is:
1. Prolactin
2. Thyroxine
3. Estrogen
4. ADH

Correct answer: 1. Prolactin

Explanation: Answer is A (Prolactin): The pituitary gland sits cradled within the sella turcica. The most common cause of a mass in the sella turcica is a Pituitary adenoma. The most frequent type of hyper-functioning pituitary adenomas are Prolactinomas that account for approximately 30 percent of all clinically recognized pituitary adenomas. Elevated levels of Prolactin are characteristic findings 'Hyperprolactinemia is the most common pituitary hormone hypersecretion syndrome in both men and women. Prolactin secreting pituitary adenomas (Prolactinomas) are the most common cause' - Harrison